Which of the following is not a capsular plate
1. Portal plate
2. Hilar plate
3. Umbilical plate
4. Cystic plate

Correct answer: 1. Portal plate

Explanation: Fascial plates of liver hilus Fascial plates of liver hilus, represents a fusion of endo abdominal fascia around the portal structures Fascial plate is formed by : cystic, Hilar and umbilical plate Hepatic veins lack endo abdominal Fascial investment Ref: Sabiston 20th edition Pgno : 1423